Color of N2O cylinder is –
1. Black with white shoulders
2. White with black shoulders
3. Grey
4. Blue

Correct answer: 4. Blue